All of the following are given global prominence in the VISION 2020 goals, except
1. Cataract
2. Refractive errors
3. Trachoma
4. Glaucoma

Correct answer: 4. Glaucoma

Explanation: Ref khurana 6/e